Double aorta occurs due to
1. Non development of the right 4th aortic arch
2. Non development of the left 4th aortic arch
3. Non division of truncus arteriosus
4. Persistence of distal portion of the right dorsal aorta

Correct answer: 4. Persistence of distal portion of the right dorsal aorta

Explanation: Double aorta occurs due to the persistence of distal portion of the right dorsal aortaRef: Inderbir Singh's Human embryology; Tenth edition; Pg 257